All of the following drug may be used for motion sickness except -
1. Hyoscine
2. Dicyclomine
3. Domperidone
4. Scopolmine

Correct answer: 3. Domperidone

Explanation: Ans. is 'c' i.e., Domperidone o Drugs used are : a) Anticholinergics --> Hyoscine (Scopolamine), Dicyclomine. b) Hl-antihistaminic ---> Promethazine, cyclizine, meclizine, cinnarizine, etc. o Hyoscine (scopolamine) is the most effective drug for motion sickness. About option 'c' o Domperidone is a prokinetic drug and acts by D2 blockade. It is ineffective in motion sickness as vestibular pathway does not involve dopaminergic link.